In a patient with myocardial infarction the valvular lesion commonly seen is:
1. Aortic stenosis
2. Mitral regurgitation
3. Aortic regurgitation
4. Septal defect

Correct answer: 2. Mitral regurgitation

Explanation: In patients with myocardial infarction, on examination a transient midsystolic or late systolic apical systolic murmur due to dysfunction of the mitral valve apparatus may be present. Other examination findings includes: Usually quiet precordium with difficulty to palpate apical impulse. In anterior wall infarction: an abnormal systolic pulsation caused by dyskinetic bulging of infarcted myocardium may develop in the periapical area Decreased intensity of S1, presence of S3, S4 Paradoxical splitting of S2 A pericardial friction rub is heard in many patients with transmural STEMI at some time in the course of the disease Ref: Harrison's Principles of Internal Medicine, 18e chapter 245.